Ketamine is a
1. Short general anesthetic agent
2. Local anesthetic agent
3. Antidepressive agent
4. Hypnotic agent

Correct answer: 1. Short general anesthetic agent